In case of chronic lead poisoning, the levels of which of the following is elevated:
1. Porphobilinogen
2. 6-amino levulinic acid
3. Bilirubin
4. Urobilinogen

Correct answer: 2. 6-amino levulinic acid

Explanation: Ans. 6-amino levulinic acid